Which of the following is an ocular emergency ?
1. CRAO
2. Optic neuritis
3. Acute congestive glaucoma
4. All of the above

Correct answer: 4. All of the above

Explanation: Ans. is 'd' i.e., All of the above Ocular emergencies include those conditions that result in acute, severe pain in association with sudden vision loss, or that may lead to vision loss if left untreated; and traumatic conditions that affect globe or adnexa. Comon ophthalmic emergencies are :- Acute congestive glaucoma Ruptured globe Ulcerative or traumatic corneal diseases Optic neuritis Hyphema Endophthalmitis Acute blindness Orbital cellulitis Eyelid or conjunctival laceration Central retinal arterial occlusion (CRAG) Anterior lens subluxation Retinal detachment